A 10 year old male, although mentally retarded, is able to carry out activities of daily living, including feeding and dressing himself. On physical examination, he has branchycephaly and oblique palpebral fissures with prominent epicanthal folds. On the palm of each hand is seen a transverse crease. On auscultation of the chest, there is a grade HUIV systolic murmur. Which of the following diseases will be most likely have by the age of 20 ?
1. Acute leukemia
2. Hepatic cirrhosis
3. Chronic renal failure
4. Acute myocardial infarction

Correct answer: 1. Acute leukemia

Explanation: Ans. is 'a' i.e., Acute leukemia o The presentation of this child is typical of Down syndrome. o Children with trisomy 21 have a 10 fold to 20 fold increased risk of developing acute leukemia. Both acute lymphoblastic leukemia and acute myeloid leukemias occur, The latter most commonly is acute megakaryoblastic leukemia.